Rhinoplasty is usually done at the age (years) of - until the nose is fully grown-
1. 6 years
2. 12 years
3. 16 years
4. 25 years

Correct answer: 3. 16 years

Explanation: Ans. is 'c' i.e., 16 years